Following displacement seen in Colic's fracture EXCEPT:
1. Dorsal tilt
2. Ventral tilt
3. Dorsal displacement
4. Lateral displacement

Correct answer: 2. Ventral tilt

Explanation: Ans. is 'b' i.e. Ventral tilt Code's :It is a fracture at a distal end of the radius at its cortico - cancellous junction (about 2 cm from the distal articular surface) in adults with a typical displacement.Displacement: Seen in CodesImpaction of FragmentsDorsal displacementDorsal tiltLateral displacementLateral tiltSupinationAlso rememberDisplacement seen in supracondylar *.* Distal fragment may be displaced in the following directionPosterior or backward shift.Posterior or backward tiltProximal shiftMedial or lateral shiftMedial tiltInternal rotationOther important points about Codes :Commonest > 40 yrs. - Codes*Commonest complication of codes - Stiffness of fingersNext common complication is - Malunion leading to dinner fork deformity*Most characteristic displacement in colds - Dorsal displacement *Most common cause of Sudeck's dystrophy in upper limb - Codes Position of immobilisation in Codes - Pronation , Palmer deviation, Ulnar deviationMnemonic : ProPagUnda. note that this position is just opposite to that of its displacement